Type VI glycogen storage disease is due to the deficiency of -
1. Muscle phosphorylase
2. Glucose-6-phosphatase
3. Liver phosphorylase
4. Branching enzyme

Correct answer: 3. Liver phosphorylase

Explanation: The Type VI glycogen is also called as Her's disease and it is caused by enzyme defect liver phosphorylase.